Trichomonas -- which of the following true is ?
1. Foul smelling copious vaginal discharge
2. scanty discharge
3. curdy white discharge
4. fluconazole is used

Correct answer: 1. Foul smelling copious vaginal discharge

Explanation: Discharge is thin greenish yellow,frothy offensive smelling profuse in nature vulva inflamed with evidence of pruritis PH is 5.5-6.5 D.C.DUTTA'S TEXTBOOK OF GYNAECOLOGY,Pg no:164,6th edition